All are true about Virchow's triad except -
1. Concerns the risk of intravascular thrombus
2. Depends on endothelial injury
3. Depends on platelet activation
4. Depends on stasis

Correct answer: 3. Depends on platelet activation

Explanation: Harshmohan textbook of pathology 7th edition. Virchow's triad- endothelial injury , altered blood flow and hyper coagulability of blood . To this are added the activation processes that follow these primary events: activation of platelets and clotting system..